Which general anaesthetic selectively inhibits excitatory NMDA receptors:
1. Thiopentone
2. Halothane
3. Desflurane
4. Ketamine

Correct answer: 4. Ketamine

Explanation: Ketamine Intravenous inducing agent. Acts by blocking NMDA receptors. Adverse effects : Hallucinations, delirium and vivid dreams are important adverse effects that are seen during recovery from anaesthesia (emergence delirium). Has indirect sympathomimetic action = | blood pressure, heart rate and cardiac output Increases intraocular pressure and intracranial tension Appropriate drug for anesthetizing patients , at high risk of bronchospasm